Radioactivity was discovered by Becqueral in:
1. 1796
2. 1896
3. 1901
4. 1946

Correct answer: 2. 1896

Explanation: Ans. 1896